All of the following are true about Choledochal disease except
1. Type IV is caroli's disease
2. Type I is most common
3. Type III is also called choledochocele
4. Type II is Diverticular disease

Correct answer: 1. Type IV is caroli's disease

Explanation: Todani Modification of Alonso-Lej classification Type I - Dilation of extrahepatic biliary tree Type Ia- cystic dilation Type Ib - focal segmental dilation Type Ic- fusiform dilation Type II - Diverticular dilation of extrahepatic biliary tree Type III - Cystic dilation of intra duodenal portion of common bile ducts (choledochocele) Type IVA- Dilation of the extrahepatic and intrahepatic biliary tree Type IVB- Dilation of multiple secretion of extrahepatic bile ducts Type V - Dilation confined to intrahepatic bile ducts (caroli's disease) Type VI - Cystic dilation of cystic duct (not included in Todani's modification) Ref: Sabiston 20th edition Pgno :1510-1511